A renal biopsy from a 56 year old woman withprogressive renal failure for the past 3 years showsglomerular and vascular deposition of pinkamorphous material. It shows apple-greenbirefringence under polarized light after Congo redstaining. These deposits are positive for lambda lightchains. The person is most likely to suffer from:
1. Rheumatoid arthritis
2. Tuberculosis
3. Systemic lupus erythematosus
4. Multiple myeloma

Correct answer: 4. Multiple myeloma

Explanation: Multiple myeloma